The least radio sensitive tissue is -
1. Nervous tissue
2. Bone
3. Kidney
4. Thyroid

Correct answer: 1. Nervous tissue

Explanation: Human Cell Radiation Sensitivity High Lymphocytes (white blood cells) Spermatogonia (sperm-producing cells) Erythroblasts (immature red blood cells) Intestinal crypt cells (small intestine) Mid Spermatids (non-dividing immature sperm) Osteoblasts (immature bone cells) Low Muscle cells Nerve cells